The persistent suppression of bacterial growth that may occur after limited exposure to some antimicrobial drug is called ?
1. Time dependent killing
2. Concentration dependent killing
3. Post antibiotic effect
4. Sequential blockade

Correct answer: 3. Post antibiotic effect